The Most common cause of embolism causing cerebro vascular disease is
1. Prosthetic valves
2. Non rheumatic atrial fibrillation
3. Paradoxical embolus
4. PSVT

Correct answer: 2. Non rheumatic atrial fibrillation

Explanation: (B) Non rheumatic atrial fibrillation # Sources of cardioembolic embolism include the following:> Valvular diseases Rheumatic mitral stenosis Prosthetic valves Calcific aortic stenosis Bicuspid aortic valves Mitral annulus calcification Nonbacterial thrombotic (marantic) endocarditis associated with malignancies and prothrombic states Myxomatous mitral valvulopathy with prolapse> Infective endocarditis Inflammatory valvulitis (ie, Libman-Sacks endocarditis, Behget disease, syphilis) Lambl excrescences and/or strands> Left ventricular thrombi Ischemic heart disease Acute myocardial infarction Left ventricular akinesis or aneurysm Idiopathic hypertrophic subaortic stenosis Trauma (myocardial contusion) Ventricular noncompaction Nonischemic cardiomyopathies (E.g., idiopathic dilating, viral myocarditis-associated, echinococcal, peripartum, amyloid- associated, hypereosinophilia syndrome-associated, rheumatic myocarditis-associated, sarcoidosis-related, neuromuscular disorder-associated, alcoholism-related, catecholamine-induced, Chagas disease-associated, doxorubicin-induced, mitoxantrone-related, crack cocaine-related, cardiac oxalosis-associated) Left ventricular thrombi associated with prothrombotic states Antiphospholipid antibodies Diffuse intravascular coagulation Essential thrombocythemia & myeloproliferative diseases> Left atrial thrombi Arrhythmias A trial fibril la tion (Mos t common) Sick sinus syndrome/atrial asystole Atrial flutter Atrial septal aneurysms Chiari network > Cardiac tumors Atrial myxoma> Cardiac sarcoma Endocardial fibroelastoma Metastatic disease> Paradoxical emboli (major risk) Atrial septal defects> PFO Ventricular septal defects Pulmonary arteriovenous fistulas> Miscellaneous Postcardiac catheterization> Postvalvuloplasty> Esophageal-atrial fistula